Which of these differentiates between ante mortem and post mortem burns?
1. Heat rupture
2. Heat Hematoma
3. Soot particles up to terminal bronchioles
4. Pugilistic attitude

Correct answer: 3. Soot particles up to terminal bronchioles

Explanation: SPECIFIC FINDINGS IN ANTEMORTEM BURNS 1.SOOT PARTICLES UPTO THE LEVEL OF TERMINAL BRONCHIOLE. 2. PRESENCE OF CARBOXYHEMOGLOBIN IN BLOOD. 3. Cyanide IN BLOOD 4. CURLING ULCER IN FIRST PART OF DUODENUM. NON SPECIFIC FINDINGS IN BURNS( ANTEMORTEM + POSTMORTEM BURNS) 1. PUGILISTIC ATTITUDE OR HEAT STIFFENING. 2. HEAT RUPTURE 3. HEAT HEMATOMA 4. HEAT FRACTURE.